Most common affected tendon in the Swimmer's shoulder?
1. Infraspinatus
2. Supraspinatus
3. Teres minor
4. Teres major

Correct answer: 2. Supraspinatus

Explanation: Swimmer's shoulder /supraspinatus syndrome/ Painful arc syndrome/Shoulder impingement syndrome. Causes of swimmer's shoulder: Supraspinatus tendinitis - Most common cause Complete or partial rupture of the rotator cuff Osteoarthritis of the acromioclavicular joint